Symptom of hypoglyemia is -
1. Sweating
2. Bradycardia
3. Chest pain
4. Breathlessness

Correct answer: 1. Sweating

Explanation: Ref - Davidsons 23e p739